Nasolacrimal duct opens into the
1. Supreme meatus
2. Superior meatus
3. Middle meatus
4. Inferior meatus

Correct answer: 4. Inferior meatus

Explanation: Nasolacrimal duct is membranous passage 18 mm long.it begins at the lower end of lacrimal sac, runs downwards, backward and laterally, and opens into the inferior meatus of the nose.A fold of mucous membrane called the valve of Hasner forms an imperfect valve at the lower end of the duct. Ref.BDC volume 3;sixth edition pg.76